In a population to prevent coronary artery disease changing harmful lifestyles by education is referred to as -
1. High risk strategy
2. Primary prevention
3. Secondary prevention
4. Tertiary prevention

Correct answer: 2. Primary prevention

Explanation: Ans. is 'b' i.e., Primary prevention LEVELS OF PREVENTION o There are four levels of prevention :? Primordial prevention Primary prevention Secondary prevention Tertiary prevention Primordial Level of Prevention: Is primary prevention (see below) in purest sense o It is the prevention of the emergence or development of risk factors in countries or population groups in which they have not yet appeared o Modes of Intervention: 1) Individual Education 2) Mass Education o Primordial Level is Best level of prevention for Non-communicable diseases Primary Level of Prevention: o It is the action taken prior to onset of disease, which removes the possibility that a disease will ever occur o Modes of Intervention: 1) Health Promotion: Is targeted at strengthening the host through a variety of approaches/ interventions, e.g. Health Education, Environmental modifications, Nutritional interventions, Lifestyle & behavioural changes 2) Specific Protection: Is targeting the prevention of disease through a specific intervention o Primary level of prevention is applied when 'risk factors are present but disease has not yet taken place' o It signifies 'intervention in the Pre pathogenesis Phase of a disease/ health problem' Secondary Level of Prevention: o It halts the progress of disease at its' incipient stage and prevents complications Modes of Intervention: 1) Early Diagnosis: Detection of disturbances while biochemical, functional and morphological changes are still reversible or prior to occurrence of manifest signs & symptoms 2) Treatment: Shortens period of communicability, reduces mortality and prevents occurrence of further cases (secondary cases) or any long term disability o Secondary level of prevention is applied when disease has possibly set in: It attempts to arrest the disease process, seek unrecognized disease & treat it before irreversibility and reverse communicability of infectious diseases o National Health Programmes by Govt. of India mostly operate at Secondary level of prevention o Secondary prevention is an imperfect tool in control of transmission of disease: It is more expensive and less effective than primary prevention It is an important level of prevention for diseases like Tuberculosis, Leprosy and STDs Tertiary Level of Prevention: Is applied when disease has advanced beyond early stages: It aims to reduce or limit impairments & disabilities, minimize suffering caused by existing departures from good health o Modes of Intervention: 1) Disability Limitation: It 'prevents the transition of disease from impairment to handicap' 2) Rehabilitation: Training & retraining of an individual to the highest possible level of functional ability; It can be medical, vocational, social or psychological o Tertiary level of prevention signifies 'intervention in late pathogenesis phase'